Anesthetic agent/s which have tocolytic effect are?
1. Halothane
2. Enflurane
3. Isoflurane
4. All the above

Correct answer: 4. All the above

Explanation: Ans. is 'd' i.e., All the above Halothane, enflurane and isoflurane produce a dose dependent decrease in uterine tone (tocolysis). Studies of isoflurane demonstrate that halogenated compounds reduce both the frequency of uterinecontractions and the interval between them.